Which deposition result in cataract?
1. Glucose
2. Galactose
3. Sugar amines
4. Sugar alcohols

Correct answer: 4. Sugar alcohols

Explanation: Ans. D. Sugar alcohols(Ref: Harper 31/e page 191)In Diabetes mellitus, in the lens by polyol pathway Glucose converted to Sorbitol by the enzyme Aldose reductaseIn galactosemia, Dulcitol or Galactictol is responsible for cataract.Sorbitol, Dulcitol are sugar alcohols.